True about factories Act?
1. Maximum hours of work per week is 40 hrs.
2. Maximum hours of work per week is 48 hrs.
3. Maximum working hours for adolescent is 72 hours per week
4. Children are entitled for 2 holidays a week

Correct answer: 2. Maximum hours of work per week is 48 hrs.

Explanation: Ans. is 'b' i.e., Maximum hours of work per week is 48 hrs. Factories ActThe first Indian Factories act dates as for back as 1881.The act was revised and amended several times, the lates being the factories (Amendment) act, 1987